All of the following are risk factors for atherosclerosis except:
1. Increased waist-hip ratio
2. Hyperhomocysteinemia
3. Decreased fibrinogen levels
4. Decreased HDL levels

Correct answer: 3. Decreased fibrinogen levels